All of the statements about quarantine are true except:
1. It is synonymous with isolation
2. Absolute quarantine is restriction during the inaccurate period
3. Exclusion of children from schools is an example of modified quarantine
4. Quanrantine should not be longer than the longest incubation period

Correct answer: 1. It is synonymous with isolation

Explanation: Isolation versus Quarantine Isolation Quarantine Seperation Cases Healthy contacts of cases Done for Cases themselves Other persons around Level of prevention Secondary (Treatment) Primary (Specific Protection) Duration Till recovery (Period of communicability) Till maximum incubation period (6 days for yellow fever, IP= 2-6 days) Ref: Park 25th edition , Pgno: 132 A Dictionary of public Health, J.Kishore, Pgno: 435